Traumatic myositis ossifiicans has:
1. Drill bone
2. Riders bone.
3. Exercise bone.
4. All of the above

Correct answer: 4. All of the above